Feto maternal transfusion is detected by :
1. Kleihauer test
2. Spectrophotometry
3. Benzidine test
4. None of the above

Correct answer: 1. Kleihauer test

Explanation: Kleihauer test